Corneal endothelium is embryologically derived from
1. Neural crest
2. Ectoderm
3. Mesoderm
4. Endoderm

Correct answer: 1. Neural crest

Explanation: Endothelium, Descemet's membrane, stroma and Bowman's layer are derived from the fibrous layer of mesenchyme lying anterior to the optic cup . The corneal endothelium is embryologically derived from the neural crest. The corneal endothelium is attached to the rest of the cornea through Descemet's membrane, which is an acellular layer composed mostly of collagen IV. Reference : A K KHURANA Comprehensive Ophthalmology edition 4,page-8